Features of moderately retracted tympanic membrane are all except
1. Handle of malleus appearance foreshortened
2. Lateral process of malleus becomes more prominent
3. Cone of light is absent or interrupted
4. None of the above

Correct answer: 4. None of the above

Explanation: Retracted tympanic membrane It appears dull and lus treless. Cone of light is absent or interrupted. Handle of malleus appears foreshortened. Lateral process of malleus becomes more prominent. Anterior and posterior malleal folds become sickle shaped. A retracted tympanic membrane is the result of negative intratympanic pressure when the eustachian tube is blocked. Ref:- Dhingra; pg num:-55